Muscle cannot take part in gluconeogenesis due to absence of:
1. Enolase
2. Glucose 6 phosphatase
3. Pyruvate kinase
4. All of the above

Correct answer: 2. Glucose 6 phosphatase

Explanation: The conversion of glucose 6-phosphate to glucose is catalyzed by glucose 6-phosphatase. It is present in liver and kidney, but absent from muscle and adipose tissue, which, therefore, cannot export glucose into the bloodstream. Ref: Harper 28th edition, chapter 20.